TCA cycle does not take place in:
1. Hepatocyte
2. Osteocyte
3. Neuron
4. Erythrocyte

Correct answer: 4. Erythrocyte

Explanation: D i.e. ErythrocytesErythrocytes (RBC) lack mitochondria (so TCA cycle enzymes) and completely rely on glucose as their metabolic fuel. They metabolize it by anaerobic glycolysisQ.